Ocriplasmin is a recombinant protease and it is used to treat:
1. Retinal break
2. Diabetic macular edema
3. Uveovitreal membrane (Vitreoretinal) adhesion
4. Submacular bleeding

Correct answer: 3. Uveovitreal membrane (Vitreoretinal) adhesion

Explanation: Ans. c. Uveovitreal membrane (Vitreoretinal) adhesion Ocriplasmin is a recombinant protease with activity against fibronection and lamimin, components of the vitroretinal interface. It is used for treatment of symptomatic vitreomacular adhesions Ocriplasmin Ocriplasmin is a recombinant protease with activity against fibronection and lamimin, components of the vitroretinal interface. It is used for treatment of symptomatic vitreomacular adhesions. It works by dissolving the proteins that link the vitreous to the macula, resulting in posterior detachment of the vitreous from the retina.